The first centres of ossication appears during which month of pregnancy?
1. At the end of 2 month of pregnancy
2. At the beginning of 3rd month of pregnancy
3. At the end of 3rd  month of pregnancy
4. At the end of 4th month of pregnancy

Correct answer: 1. At the end of 2 month of pregnancy